The system responsible for transporting blood around the body is
1. Urinary system
2. Circulatory system
3. Lymphatic system
4. Digestive system

Correct answer: 2. Circulatory system

Explanation: The circulatory system consists of the heart, the blood vessels and the blood,
and its function is to transport the blood around the body